Sistrunk's operation is done for:
1. Thyroglossal cyst
2. Thyroglossal fistula
3. Both the above
4. None of the above

Correct answer: 3. Both the above